The urine sample of a patient has been sent to the laboratory to look for Leptospira. The specimen is to be screened by use of the
1. Scanning microscope
2. Inverted microscope
3. Dark ground microscope
4. Electron microscope

Correct answer: 3. Dark ground microscope